Most malignant type of pustular psoriasis is ?
1. Palmo - planter pustolosis
2. Acrodermatitis continua
3. Pustular bacterids
4. Von Zumbusch type

Correct answer: 4. Von Zumbusch type

Explanation: Ans. is'd'i.e., Von Zumbusch typeVon Zumbusch type of pustular psoriasis is the suddenly developing most serious type, characterized by severe systemic upset, swinging pyrexia, arthralgia and high polymorphonuclear lymphocytes.The skin first becomes erythrodermic and then develops sheets of sterile pustules over trunk and limbs.Pustules become confluent to from "lakes of pus".